Cancer cells derive nutrition from :
1. Glycolysis
2. Oxidative phosphorylation
3. Increase in mitochondria
4. From a fast food joint

Correct answer: 1. Glycolysis

Explanation: A i.e. GlycolysisCancer cells derive nutrition from glycolysisQ. Cancer cells are multiplying at a rapid rate for which they need energy. But they lack an extensive capillary network to supply the cells with 02. So the tumor cells have to depend on anaerobic process - Glycolysis for ATP productionRole of glycolysis in cancer therapyIn fast growing cancer cells, rate of glycolysis is very high, produces more pyruvic acid (PA) than TCA cycle can handle. Accumulation of pyruvic acid leads to excessive formation of lactic acid producing Lactic acidosis.